The sign or symptom most suggestive of metastatic disease is:
1. Paraesthesia
2. Sudden swelling
3. Root resorption
4. Diffuse radiolucency

Correct answer: 1. Paraesthesia